Internal pudendal artery gives rise to:
1. Superior rectal artery
2. Middle rectal artery
3. Inferior rectal artery
4. Median sacral artery

Correct answer: 3. Inferior rectal artery

Explanation: Inferior rectal artery